A drug lacking vasodilatory properties that is effective in angina is:
1. Isosorbide dinitrate (IDN)
2. Metoprolol
3. Nifedipine
4. Verapamil

Correct answer: 2. Metoprolol

Explanation: Beta blockers act in angina by decreasing exercise induced myocardial work by reducing HR. These do not cause vasodilation. Nitrates (IDN) and CCBs (Nifedipine, Verapamil) act by causing vasodilation.